A 22-year-old woman comes for treatment of hirsutism. She is obese and has facial acne and hirsutism on her face. Serum LH level is 36 mIU/mL and FSH is 9 mIU/mL. Androstenedione and testosterone levels are mildly elevated, but serum DHEAS is normal. The patient does not wish to conceive at this time. Which of the following is the most appropriate treatment of her condition?
1. Oral contraceptives pills
2. Corticosteroids
3. GnRH analog
4. Wedge resection of ovary

Correct answer: 1. Oral contraceptives pills

Explanation: Ans. is a, i.e. Oral contraceptive pillsThis patient is having hirsutism with altered LH:FSH ratio. Most probably it is a case of PCOS 1st line management of hirsutism in PCOS is OCPs.